Fenton reaction leads to free radical generation when -
1. Radiant energy is absorbed by water
2. H202 is formed by myeloperoxidase
3. Ferrous ion converted to ferric ion
4. Nitric oxide is converted to peroxynitrite

Correct answer: 3. Ferrous ion converted to ferric ion

Explanation: Ans. is 'c' i.e., Ferrous ions converted to ferric ions o Free radicals are generated through Fenton's reaction.o In this reaction iron is converted from its ferrous to ferric form and a free radical is generated,o The effect of these reactive species relevant to cells injury include;Lipid peroxidation of membranesOxidative modification of proteins and lesions in DMA.